Acalculus cholecystitis caused by:a) DMb) TPNc) Leptospirosisd) Estrogen therapy
1. abc
2. bc
3. acd
4. bcd

Correct answer: 1. abc